A client with a subarachnoid hemorrhage is prescribed a 1,000-mg loading dose of Dilantin IV. Which consideration is most important when administering this dose?
1. Therapeutic drug levels should be maintained between 20 to 30 mg/ml.
2. Rapid Dilantin administration can cause cardiac arrhythmias.
3. Dilantin should be mixed in dextrose in water before administration.
4. Dilantin should be administered through an IV catheter in the client’s hand.

Correct answer: 2. Rapid Dilantin administration can cause cardiac arrhythmias.

Explanation: Dilantin IV shouldn’t be given at a rate exceeding 50 mg/minute. Rapid administration can depress the myocardium, causing arrhythmias.

Option A: Therapeutic drug levels range from 10 to 20 mg/ml.
Option C: Dilantin shouldn’t be mixed in solution for administration. However, because it’s compatible with normal saline solution, it can be injected through an IV line containing normal saline.
Option D: When given through an IV catheter hand, Dilantin may cause purple glove syndrome.